33 years old alcoholic on ATT presents with increased serum iron and increased transferrin saturation. Diagnosis-
1. Iron deficiency anemia
2. Sideroblastic anemia
3. Megaloblastic anemia
4. Anemia of chronic disease

Correct answer: 2. Sideroblastic anemia

Explanation: SIDEROBLASTIC ANAEMIA A rare heterogeneous group of refractory anemias characterized by: Ring sideroblasts in the bone marrow aspirate Dimorphic peripheral blood picture: Microcytic hypochromic red cells in hereditary form and macrocytic in the acquired forms of the disease mixed with normochromic cells. Iron-containing inclusions (Pappenheimer bodies) in the RBCs. Increased serum iron concentration and markedly increased storage iron. Ineffective erythropoiesis.